Organ of corti is situated in
1. Basilar membrane
2. Utricle
3. Saccule
4. None of the above

Correct answer: 1. Basilar membrane

Explanation: Organ of Corti is the sense organ of hearing and is situated on the basilar membrane. Important components of the organ of Corti are: 1. Tunnel of Corti- which is formed by the inner and outer rods. It contains a fluid called cortilymph. The exact function of the rods and cortilymph is not known. 2. Hair cells- They are important receptor cells of hearing and transduce sound energy into electrical energy. Inner hair cells form a single row while outer hair cells are arranged in three or four rows. Inner hair cells are richly supplied by afferent cochlear fibres and are probably more important in the transmission of auditory impulses. Outer hair cells mainly receive efferent innervation from the olivary complex and are concerned with modulating the function of inner hair cells. 3. Supporting cell- Deiters' cells are situated between the outer hair cells and provide support to the latter. Cells of Hensen lie outside the Deiters' cells. 4. Tectorial membrane- It consists of gelatinous matrix with delicate fibres. It overlies the organ of Corti. The shearing force between the hair cells and tectorial membrane produces the stimulus to hair cells. Reference-Dhingra 6/e, p 13.